Which of following is not a feature in diabetic retinopathy on fundus examination
1. Microaneurysms
2. Retinal hemorrhages
3. Arteriolar dilatation
4. Neovascularisation

Correct answer: 3. Arteriolar dilatation

Explanation: C i.e. Arteriolar dilatation In diabetic retinopathy arteriolar changes consist of narrowing Q (not dilation) silver-wiring and obliteration resembling branch retinal artery occlusion. And venous changes are bending, looping and sausage like segmentation.